Neurosurgical treatment of epilepsy usually involves,removal of epileptic focus from which lobe -
1. Frontal lobe
2. Temporal lobe
3. Occipital lobe
4. Parietal lobe

Correct answer: 2. Temporal lobe

Explanation: • The most common surgical procedures performed for epilepsy are anterior temporal lobectomy, focal cortical resection, multiple subpial transection, hemispherectomy, and corpus callosotomy.